The index described by Brooke and Shaw to assess orthodontic treatment need from an anatomical and aesthetic perspective is:
1. Orthodontic Treatment Priority Index (TPI)
2. Index of Orthodontic Treatment Need (IOTN)
3. Index of Complexity Outcome and Need (ICON)
4. Dental Aesthetic Index (DAI)

Correct answer: 2. Index of Orthodontic Treatment Need (IOTN)

Explanation: INDEX OF ORTHODONTIC TREATMENT NEED (IOTN):
The Index of Orthodontic Treatment Needs (IOTN) was described in 1989 by R H. Brook and W.C. Shaw to assess orthodontic treatment need from an anatomical and aesthetic perspective.
Essentials of preventive and community dentistry 
Soben Peter 
5th edition